OTC deficiency causes
1. Citrullinemia
2. Argininemia
3. Hyperammonemia type-1
4. Hyperammonemia type-2

Correct answer: 4. Hyperammonemia type-2

Explanation: Ans. is 'd' i.e., Hyperammonemia type-2Orinithine transcarbomylase (OTC) deficiency causes hyperammonemia type-2.